A pregnant woman presents with a placenta previa of a major degree. The fetus is malformed. Which of the following will be the best line on management?
1. Cesarean section
2. Oxytocin drip
3. Rupture of membranes
4. Instillation of PG E2

Correct answer: 1. Cesarean section

Explanation: Ans: A (Cesarean section) Ref: DC Dutta s Textbook of Obstetrics, 7th edn, Pg 248Explanation:Placenta Previa - ManagementType II B. Ill and IV are the major degree placenta previa.Criteria for expectant management:Gestational age <37 weeksHemodynamicallly stable patientBleeding has stoppedNo evidence of fetal distress/congenital mal formations/intrauterine death.Expectant management includes tocolysis, steroids for lung maturity.In this scenario, baby is congenitally malformed. Hence, there is no question of expectant management. Now, the question is to whether to induce labor or directly go for caesarean section.Whatever is the condition of the baby, caesarean section is the mode of delivery for major degree placenta previa.Also Note:Dangerous type of placenta previa - Type II B.Stallworthy sign is seen in -Type II B placenta previa.